To do myringotomy in ASOM, the incision is given in posteroinferior region, this is the preferred region for all the following reasons except.
1. It is easily accessible
2. Damage to ossicular chain does not occur
3. Damage to chorda tympani is avoided
4. It is the very vascular region

Correct answer: 4. It is the very vascular region

Explanation: In SOM, myringotomy is done in antero-inferior quadrent because:It is relatively avascular area. blood loss is lessNo important structures are present here. No possibility of them being damaged.To stimulate Eustachian tube (which also lies in antero inferior quadrant)